Which of the following are intracellular events occurring in fibroblast during synthesis of collagen?
1. Hydrolysis of procollagen to collagen
2. Glycosylation of proline
3. Formation of triple helix
4. Formation of covalent cross link b/w fibrils

Correct answer: 3. Formation of triple helix

Explanation: C. Collagen helix It is a triple helical structure found in collagen (details in Chapter 52). 3. Tertiary Structure i. Secondary structure denotes the configurational relationship between residues which are about 3-4 amino acids apart; or secondary level defines the organization at immediate vicinity of amino acids. The tertiary structure denotes three-dimensional structure of the whole protein (Box 4.1 and Fig. 4.8). The tertiary structure defines the steric relationship of amino acids which are far apart from each other in the linear sequence but are close in the three-dimensional aspect. ii. The tertiary structure is maintained by noncovalent interactions such as hydrophobic bonds, electrostatic bonds, and van der Waals forces. The tertiary structure acquired by native protein is always thermodynamically most stable. iii. Domain is the term used to denote a compact globular functional unit of a protein. A domain is a relatively independent region of the protein and may represent a functional unit. The domains are usually connected with relatively flexible areas of protein (see immunoglobulins, Chapter 49). Phenylalanine hydroxylase enzyme contains 3 domains, one regulatory, one catalytic and one protein-protein interaction domains.Ref: DM Vasudevan - Textbook of Biochemistry, 6th edition, page no: 31